Overcontoured tooth restoration is caused by:
1. Underprepared tooth
2. Overprepared tooth
3. Oversized die
4. Inadequate thickness of veneer

Correct answer: 1. Underprepared tooth

Explanation: Insuﬃcient axial reduction or under preparation of tooth leads to inevitable overcontoured restorations that hamper plaque control.